All are caused by parvo virus infection except
1. Erythema infectiosum
2. Encephalopathy
3. Aplastic crisis
4. Gloves and socks syndrome

Correct answer: 2. Encephalopathy

Explanation: Parvovirus B19 causes :

Erythema infectiorum.
Arthropathy.
Myocarditis.
Transient aplastic crisis.
Skin eruptions like "Gloves and socks" syndrome.